All are true about Ranula except -
1. Asympotmatic
2. Retention cyst
3. Premalignant
4. Occurs commonly on the floor of the mouth

Correct answer: 3. Premalignant

Explanation: Ans. is 'c' i.e., Premalignant Ranula* Ranula, also known as mucous retention cyst, is a type of mucocle found on the floor of mouth on one side of the frenulon.* It arises from sublingual salivary gland, due to obstruction of its duct and is almost always unilateral.* In occurs mostly in children and young adults.Clinical features* Ranula is usually asymptomatic, and only complain is fluctuant swelling with a bluish translucent colour.* Swelling is painless unless it becomes secondary infected.* Overlying mucosa is intact and ranula is not fixed.Treatment* Surgical excision of both the gland as well as the lesion. Ranulas are likely to recur if the sublingual gland causing them is not removed with the lesion.